Which CHD will lead to a left-to-right shunt, generally with cyanosis?
1. Anomalous origin of the left coronary artery from the pulmonary trunk
2. Patient ductus arteriosus without pulmonary hypertension
3. Total anomalous pulmonary venous connection
4. Ventricular septal defect

Correct answer: 3. Total anomalous pulmonary venous connection

Explanation: Left-to-right shunts occur in all types of atrial and ventricular septal defects but generally do not result in cyanosis, whereas large right-to-left shunts frequently do. The magnitude of the shunt depends on the size of the defect, the diastolic properties of both ventricles, and the relative impedance of the pulmonary and systemic circulations. Defects of the sinus venosus type occur high in the atrial septum near the entry of the superior vena cava or lower near the orifice of the inferior vena cava and may be associated with the anomalous connection of the right inferior pulmonary vein to the right atrium. In the case of anomalous origin of the left coronary artery from the pulmonary artery, as pulmonary vascular resistance declines immediately after birth, perfusion of the left coronary artery from the pulmonary trunk ceases and the direction of flow in the anomalous vessel reverses. Twenty percent of patients with this defect can survive to adulthood because of myocardial blood supply flowing totally through the right coronary artery. In the absence of pulmonary hypertension, blood will flow from the aorta to the pulmonary artery throughout the cardiac cycle, resulting in a "continuous" murmur at the left sternal border. In total anomalous pulmonary venous connection, all the venous blood returns to the right atrium; therefore, an interatrial communication is required and right-to-left shunts with cyanosis are common. Ref - Harrison's principles of internal medicine 20e 1838 , pubmed.com